Japanese Encephalitis is transmitted by
1. Culex tritaeniorhynchus
2. Culex vishnui
3. Culex pseudovishnui
4. All of the above

Correct answer: 4. All of the above

Explanation: Japanese Encephalitis is a viral disease caused by a Flavivirus It is transmitted by infective bites of female mosquitoes mainly primarily by Culex tritaeniorhynchus. Other vectors incriminated in transmission are Culex vishnui and Culex pseudo-vishnui group. However, some other mosquito species also play a role in transmission under specific conditions Mosquitoes breed in rice fields, shallow ditches and pools. Of these rice fields are important breeding place. JE virus is primarily zoonotic in its natural cycle and man is an accidental host. JE virus is neurotropic and arbovirus and primarily affects central nervous system